An arterial blood gas report of pH 7.00 ; PaO2 60 mm g; PaCO2 80 mm Hg; HCO328?
1. Respiratory acidosis with normoxaemia
2. Metabolic acidosis with normoxaemia
3. Metabolic acidosis with hypoxaemia
4. Respiratory acidosis with hypoxaemia

Correct answer: 4. Respiratory acidosis with hypoxaemia